Calcium channel blocker with maximum effect on conduction in heart is:
1. Phenylamine
2. Nifedipine
3. Diltiazem
4. Verapamil

Correct answer: 4. Verapamil

Explanation: Verapamil is phenylalkylamine which depresses the SA node and slows AV conduction. Others are less potent. But verapamil can cause constipation It is class 4 antiarrhythmic drug REF.Essentials of Pharmacology KD Tripathi 8th ed.